Most common organism causing pelvic inflammatory disease?
1. Neisseria gonorrhea
2. Gardnerella Vaginalis
3. Bacteroides
4. Chlamydia

Correct answer: 4. Chlamydia

Explanation: PID Causes: Chlamydia: most prevalent; indolent Gonorrhea: most common in OPD Mycoplasma TB Ureaplasma Bacteroides Pepto streptococcus Bacterial vaginosis Streptococcus